In a 70-Kg adult, the volume of intracellular fluid would be
1. 5 L
2. 12 L
3. 14 L
4. 28 L

Correct answer: 4. 28 L

Explanation: ICF volume = (0.4) X body weight. =0.4x 70 =28L